Hybridoma technique is used to obtain
1. Specific antigen
2. Complement
3. Specific antibody
4. Interleukins

Correct answer: 3. Specific antibody

Explanation: Hybridoma technique is used to produce Monoclonal antibodies (mAb) (Nobel prize Gwardee Kohler and Milstein): Hybridoma technique:- Monoclonal antibodies (mAb) are defined as the antibodies derived from a single clone of plasma cell; all having the same antigen specificity-- i.e. produced against a single epitope of an antigen. Principle- B cells fused with myeloma cells on HAT media (hypoxanthine aminopterine thymine media) Types of Monoclonal Antibodies: Mouse mAb contains 100% mouse derived proteins. The mouse proteins being foreign; can induce immune response in humans producing human anti-mouse antibody (HAMA); that in turn eliminate the mAb faster from the body. Chimeric mAb is prepared by recombination of 34% mouse proteins (variable region) and 66% human proteins (constant region). Humanized mAb: Here, only the antigen binding site is mouse derived (10%) and the remaining part of mAb is human derived. Human mAb: 100% of amino acids are human derived. It is the best accepted mAb.